Pulmonary - renal syndrome is seen in all, EXCEPT:
1. Goodpasture's syndrome
2. Antineutrophil cytoplasmic antibodies (ANCA)-associated small-vessel vasculitis
3. Lupus erythematosus, or cryoglobulinemia
4. MPGN

Correct answer: 4. MPGN

Explanation: When the patients with RPGN present with lung hemorrhage from Goodpasture's syndrome Antineutrophil cytoplasmic antibodies (ANCA)-associated small-vessel vasculitis Lupus erythematosus, or cryoglobulinemia Diagnosed as having a pulmonary-renal syndrome. Ref: Harrison-18, P-2337